Sinuses present at birth are:
1. Frontal and maxillary
2. Frontal and ethmoid
3. Maxillary and sphenoid
4. Maxillary and ethmoid

Correct answer: 4. Maxillary and ethmoid

Explanation: Ref: Nelson's Textbook of Pediatrics, 18th edition. Page 1749: Dhingra's Disease of ENT, Page 203 Explanation: Both the ethmoidal and maxillary sinuses are present at birth, but only the ethmoidal sinuses are pneumatized. The maxillary sinuses are not pneumatized until 4 years of age. The sphenoidal sinuses are present by 5 years of age, whereas the frontal sinuses begin development at age 7-8 years and are not completely developed until adolescence. DEVELOPMENT OF PARANASAL SINUSES Outpouchings from mucous membrane of lateral wall of nose. At birth, only maxillary and ethmoidal sinuses are present. Earliest sinus to appear radiological!} is Maxillary sinus - At 4 - 5 months. (See table in the next coloum) Sinus Status at birth Growth First radiological evidence Maxillary Present as birth * Rapid growth from birth to 3 years and from 7-12 years * Adult size-15 years 4-5 months after birth Ethmoid Present at birth Anterior group: 5 x2x2mm Posterior- group: 5x4x2 mm * Adult size by 12 years 1 year Frontal Not present * invades frontal bone at the age of 4 years. Size increases till teens 6 years Sphenoid Not present * Reaches sella tumea by the age of 7 years * Reaches dorsum seilae by late teens and basisphenoid by adult age * Reaches full size between 15-adult age 4 years